Muscles forming floor of pelvis are all except?
1. Pubococcygeus
2. Iliococcygeus
3. Ischiococcygeus
4. Iliacus

Correct answer: 4. Iliacus

Explanation: Ans. is'd' i.e.,Iliacus.(Ref: BDC &/eVol.llp. 425)The pelvic floor is formed by the levator ani muscle which consists of three parts:-PubococcygeusIliococcygeusIschiococcygeus